In an epidemiological study, the first case whichcomes to the attention of the investigator is
1. Reference case
2. Index case
3. Primary case
4. Secondary case

Correct answer: 2. Index case

Explanation: Index case Epidemiological terminology Primary case - is the _first case of a communicable disease introduced into the population unit under study. Index case - is the first case, that comes to the attention of the investigator, it is not always the primary case. Secondary cases - are those cases arising d/t contact with the primary case.